Function of superior oblique muscle -
1. Intortion
2. Extortion
3. Lateral rotation
4. Upward rotation

Correct answer: 1. Intortion

Explanation: Superior oblique causes intorsion/medial rotation/ internal rotation; abduction and depression.
There no such movements in eye called upward rotation or downward rotation. Simply there is elevation and depression.